Which of the following does not represent a significant anaesthetic problem in the morbidly obese patient ?
1. Difficulties in endotracheal intubation
2. Suboptimal arterial oxygen tension
3. Increased metabolism of volatile agents
4. Decreased cardiac output relative to total body mass

Correct answer: 4. Decreased cardiac output relative to total body mass

Explanation: Cardiac output is increased (not decreased) in morbid obesity. There is difficult intubation, hypoxemia and rapid metabolism of volatile anesthetics.